Force required for headgear to restrain maxillary growth is:
1. 50-100 gm per side
2. 150-200 gm per side
3. 250-500 gm per side
4. 750-1000gm per side

Correct answer: 3. 250-500 gm per side